Best approach for thoracic trauma is
1. Midline sternotomy
2. Parasternal thoracotomy
3. Anterolateral thoracotomy
4. Posterolateral thoracotomy

Correct answer: 3. Anterolateral thoracotomy

Explanation: Here best option is anterolateral thoracotomy. Different approaches to the contents of the chest cavity are.. Left anterolateral thoracotomy : left lung and lung hilum, Thoracic aorta, left side of heart, origin of left subclavian artery and lower oesophagus. Right anterolateral thoracotomy : Right lung and lung hilum, Azygos vein, Superior vena cava, Infracardiac inferior vena cava, Upper oesophagus, Thoracic trachea. Median sternotomy : Anterior aspect of the heart, Anterior Mediastinum, Ascending aorta and arch of aorta, pulmonary arteries and Carina of trachea. Indications for thoracotomy: 1.1000ml drained at insertion of chest drain. 2.Continued brisk bleeding >100ml per 15 min. 3.Continued bleeding >200ml per hr. for 3 or 4 more hrs . 4.Rupture of bronchus, aorta, oesophagus, diaphragm. 5.Cardiac tamponade. Reference : Bailey & love, 27th Edition, page no = 371.